Erythropoietin is increased in all except:
1. Hepatocellular carcinoma
2. Renal cell carcinoma
3. Cerebellar Hemangioblastoma
4. Pancreatic carcinoma

Correct answer: 4. Pancreatic carcinoma

Explanation: Answer is D (Pancreatic carcinoma) Ectopic production of erythropoietin by cancer cells cause most paraneoplastic erythrocytosis. Cancers typically associated with this syndrome include Renal cancer, Hepatocarcinoma and cerebellar ..,,mangioblastomas. Syndrome Protein Cancers typically associated with syndrome Erythrocytosis Paraneoplastic Erythropoetin * Renal cancers syndrome * Hepatocarcinoma * Cerebellar hemangioblastoma Tumours associated with Erythrocytosis : Hypernephroma * Adrenal adenoma Hepatoma * Pheochromocytoma Cerebellar * Meningioma Hemangiblastoma * Uterine fibromyoma